Macular sparing is seen if the lesion is at
1. Occipital lobe
2. Frontal lobe
3. Lateral geniculate body
4. Optic tract

Correct answer: 1. Occipital lobe

Explanation: Refer AH Khurana, Comprehensive Textbook of Ophthalmology,5thedition, pg no: 310-311)